A couple, with a fimily history of beta thalassemia major in a distant relative, has come for counseling. The husband has HbA2 of 4.8% and the wife has HbA2 of 2.3%. The risk of having a child with betathalassemia major is -
1. 50%
2. 25%
3. 5%
4. 0%

Correct answer: 4. 0%

Explanation: Ans. is 'd' i.e., 0%